Which one of the following insecticides is not used as a larvicides ?
1. Abate
2. Paris green
3. Fenthion
4. Dichloros

Correct answer: 4. Dichloros